Not True about acute osteomyelitis
1. Metaphysis is involved
2. Caused by staph aureus
3. Pseudoparalysis
4. Bone scan detects after 2 weeks

Correct answer: 4. Bone scan detects after 2 weeks